CO2 is primarily transported in the arterial blood as
1. Dissolved CO2
2. Carbonic Acid
3. Carbamino-hemoglobin
4. Bicarbonate

Correct answer: 4. Bicarbonate

Explanation: CO2 in blood is mainly carried as bicarbonates.